Excessive sexual desire in females is known as?
1. Nymphomania
2. Satyriasis
3. Frigidity
4. Impotency

Correct answer: 1. Nymphomania

Explanation: Ans. is 'a' i.e. Nymphomania Sexual dysfunction* Sexual dysfunction are characterized by repeated inability to participate in sexual relationship or its unsatisfying nature. Important sexual dysfunctions are: -1. Disorder of sexual desire:- i) Excessive sexual desire - Satyriasis in males and nymphomania in women, ii) Hypoactive sexual desire - Frigidity2. Disorder of sexual arousal (Impotence or erectile dysfunction)# This disorder is characterized by an inability to have or sustain penile erection till the completion of satisfactory sexual activity. One of the important method to distinguish psychogenic impotence from organic impotence is nocturnal penile tumescence & early morning erection which are preserved in psychogenic impotence but not in organic cause of impotence.# Phosphodiesterase-5-inhibitors (Sildenafil, Todafil, vardenafil) are the drug of choice for erectile dysfunction. Other treatment includes PIPE therapy (Papaverine/Phentolamine induced penile erection), Alprastadil (Prostaglandin El), Androgens, and penile prosthesis/vaccume constrictor device. Sensate focus technique is the method in which the aim is to discover on body (excluding genitals) sensate focus, where manipulation leads to sexual arousal.3. Orgasmic dysfunction : - Premature ejaculation : -# Premature ejaculation is defined as ejaculation before the completion of satisfactory sexual activity for both partners.# Squeeze technique (Seman's technique) is used for premature ejaculation. When the male partner experiences 'ejaculatory inevitability' the female partner 'squeezes' the penis on the coronal ridge thus delaying ejaculation.# Dapoxetine (A new SSRI) can be used in treatment